Which of the following is not associated with Adult Polycystic Kidney Disease
1. Autosomal dominant inheritance
2. Mutations involving gene affecting cell-cell-matrix interaction
3. Intracranial berry aneurysm may be present
4. Tricuspid valve prolapse

Correct answer: 4. Tricuspid valve prolapse

Explanation: ADPKD Inheritance: Autosomal dominant Cytogenetic defect: Chromosome 16 (85%): ADPKD-1 Chromosome 4 (15%): ADPKD-2 Mutations: PKD 1 gene (85%) & PKD 2 gene (15%) Other manifestations: Intracranial aneurysms, cysts of other organs. Ref: HARSH MOHAN TEXTBOOK OF PATHOLOGY 6th ed. pg no: 659